An eleven year old boy is having tinea capitis on his scalp. The most appropriate line of treatment is:
1. Oral griseofulvin therapy
2. Topical griseofulvin therapy
3. Shaving of the scalp
4. Selenium sulphide shampoo

Correct answer: 1. Oral griseofulvin therapy

Explanation: A i.e. Oral griseofulvin Tenia capitis is most commonly caused by Microsporum canis > Trichophyton tonsurans; and never caused by Epidermophyton as it does not involve hair. It presents with localized non-cicatrial (mostly) alopecia, itching, scaling with or without boggy swelling of scalp & easily pluckable hair. Tinia capitis is diagnosed by potassium hydroxide (KOH) wet mounts of hair & scale and treated by griseofulvin. Griseofulvin is used systemically only for dermatophytosis, it is ineffective topically. It is the drug of choice for treatment of tinea requiring systemic therapy. Griseofulvin has no role in treatment of Tinea versicolar & candida.